A patient with H. Pylori infection is treated with drugs. The best method to detect presence of residual H.Pylori infection in this person is :
1. Rapid unrease test
2. Urea breath test
3. Endoscopy and biopsy
4. Serum anti H.Pylori titre

Correct answer: 2. Urea breath test

Explanation: Answer is B (Urea breath test) : The test of choice for documenting eradication is urea breath test. Assessing success of Treatment / Eradicatiion of H. Pyrlori : Assessment should be done atleast 4 weeks after completin of anti H. Pylori therapy. In the assessment of treatment success non invasive tests are normally preferred. Assessment of success of treatment Non invasive tests are preferred Inasive tests are not preferred Urea breath test : Test of choice for documenting eradication. Stool antigen test :If UBT is not available a stool antigen test should be considered for documenting eradication Biopsy based tests (Biopsy Urease test, Histology / Culture) are invasive tests based on Endoscopic biopsy. Serological testing :Is not useful for purpose of documentation of eradication as antibody titres fall slowly and often do not become undetectable These may be used to document eradication but are not preferred for this purpose.